A 43-year-old lady comes to emergency department with acute attack of anxiety associated with physical symptoms like hyperventilation, increased HR, and sweating. She is diagnosed as a case of acute panic attack. Which of the following is the most suitable drug for this patient?
1. Flumazenil
2. Alprazolam
3. Propranolol
4. Eszopiclone

Correct answer: 2. Alprazolam

Explanation: Benzodiazepines like alprazolam and clonazepam are preferred for acute panic attack whereas SSRI like fluoxetine are drug of choice for long term management of panic disorder. Eszopiclone is a hypnotic. Propranolol is commonly used to treat performance anxiety (stage fright). Flumazenil is used in benzodiazepine poisoning.